Malignant pustule is seen in:
1. Erysipeloid
2. Glanders
3. Bacillary angiomatosis
4. Anthrax

Correct answer: 4. Anthrax

Explanation: Ans: d (Anthrax)Ref: IADVL 3rd ed. vol. 1 pg. 238Initial lesion of cutaneous anthrax is malignant pustule.Classical lesion consists of a central eschar surrounded by a ring of oedema and erythema, surrounded by small vesicles. Causative organism- Bacillus anthracis Erysipeloid - It is caused by Erysipelothrix rhusiopathini.It is an acute disorder characterized by dull erythema which spreads centrifugally with sharp but irregular margins.Glanders is caused by Ps. mallaei